The height of a child is double the birth height at the age of _________
1. 1 year
2. 2 years
3. 4 years
4. 6 years

Correct answer: 3. 4 years

Explanation: The infant measures approximately 50cm at birth, 60cm at 3 months, 65cm at 6 months, 70 cm at 9 months, 75cm at 1 yr and 90cm at 2 yr. A normal Indian child is 100cm tall at the age of 4 yr. Thereafter, the child gains about 6cm in height every year, until the age of 12 yr. After this, increments in height vary according to the age at the onset of puberty Ref : Essential pediatrics, op ghai , 8th edition pg no:13.